Suspended animation may be seen with which of the following?
1. Electrocution
2. Salicylate poisoning
3. Snake bite
4. Burns

Correct answer: 1. Electrocution

Explanation: Ans. (A). ElectrocutionAttention: This is one of the most repeatedly asked question. A student should be familiar with all conditions producing suspended animation.MNEMONICSuspended animation IN MY NEW HDTVInsanity, New BornQ, ElectrocutionQ, Opioid Overdose, YogaQ, Heat StrokeQ, HypothermiaQ, DrowningQ, Drugs, typhoid feverQElectrocutionQ is one of the common cause of suspended animation.Any patient of electrocution brought to casualty, one should not hurry in death declaration.It is always advisable to take ECG for confirmation.